Patient with both ear Rinne's positive and Weber's test to lateralised to the left. Diagnosis is -
1. Left conductive deafness
2. Left sensory - Neural deafness
3. Right sensory - Neural deafness
4. Right conductive deafness

Correct answer: 3. Right sensory - Neural deafness